A 15 year old female presents with primary amenorrhoea. Her breasts are Tanner 4 but she has no axillary or pubic hair. The most likely diagnosis is :
1. Turner's syndrome
2. Mullerian agensis
3. Testicular feminization syndrome
4. Premature ovarian failure

Correct answer: 3. Testicular feminization syndrome

Explanation: Answer is C (Testicular feminization syndrome): Presence of well developed breast (tanner stage 4) with scanty axillary or pubic hair in a phenotypic 'female' with primary amenorrhea (? no uterus) suggests the diagnosis of Testicular feminization syndrome.